Autoimmune hemolytic anaemia is seen in:
1. All
2. AML
3. CML
4. CLL

Correct answer: 4. CLL

Explanation: About 15% of patients develop autoantibodies ( IgG )against their own red cells or platelets which leads to autoimmune hemolytic anemia.